The antihypertensive which causes decreased libido and impotence is:
1. Atenolol
2. Enalapril
3. Prazosin
4. Diltiazem

Correct answer: 1. Atenolol

Explanation: Ans. (A) Atenolol(Ref: KDT 8th/e p161)Current hypertensive research May 2012; Antihypertensive treatment and sexual dysfunction.*Diuretics have maximum risk of causing sexual dysfunction followed by beta blockers.*Atenolol, metoprolol and carvedilol have high risk whereas nevibolol has minimum risk of erectile dysfunction.*ACE inhibitors decrease the risk.